All ICUD's are changed every 4 - 5 year except :
1. Cu 280
2. Cu 320
3. Multiload devices
4. Progestasert

Correct answer: 4. Progestasert

Explanation: Ans. is d i.e. Progestasert Most of the IUCDs have an average life span of : 3 years. Nova T/ Multiload 375/Levonova CuT 380 A (also known as Paragard) Progestasert CuT200 B Levonorgestrel containing IUCD can be used for : - 5 years - 10 years - 1 years - 4 years, in US and 3 years in India and in European countries. - 7-10 years, but is approved for 5 years